The most common pure germ cell tumor of the ovary is:
1. Choriocarcinoma
2. Dysgerminoma
3. Embryonal cell tumor
4. Malignant Teratoma

Correct answer: 2. Dysgerminoma

Explanation: Dysgerminoma is the most common malignant germ cell malignancy of the ovary, accounting for about 40% of all ovarian cancers of germ cell origin. Ref: Multimodality Therapy in Gynecologic Oncology By BU. Sevin, 1996, Page 137